Propranolol is not used in:
1. A–V block
2. Hypertension
3. Hypertrophic obstructive cardiomyopathy
4. Migraine

Correct answer: 1. A–V block